Sympathetic root of otic ganglion
1. Plexus around ICA
2. Plexus around facial artery
3. Plexus around ophthalmic artery
4. Plexus around middle meningeal artery

Correct answer: 4. Plexus around middle meningeal artery

Explanation: ROOTS OF OTIC GANGLION: Sensory root is by auriculotemporal nerve Sympathetic root is by sympathetic plexus around middle meningeal artery Secretomotor root is by lesser petrosal nerve from tympanic plexus formed by tympanic branch of cranial nerve IX Motor root is by a branch from nerve to medial pterygoid Ref BDC volume 3,sixth edition pg 311